Antimicrobials effective against anaerobic bacteria include the following EXCEPT:
1. Tobramycin
2. Clindamycin
3. Chloramphenicol
4. Metronidazole

Correct answer: 1. Tobramycin

Explanation: (Ref: KDT 6/e p719, 720) Aminoglycosides require oxygen for transport in the bacterial cell. These are therefore ineffective against anaerobic organisms.